Which is best used for sex differentiation
1. Skull
2. Femur
3. Pelvis
4. Humerus

Correct answer: 3. Pelvis

Explanation: The pelvis is the bone best used for sex determination. There are many differences between male and female pelvis. Listed below are some of the important points.